Rosettes are characteristically seen in –
1. Dysgerminoma
2. Melanoma
3. Retinoblastoma
4. Lymphoma

Correct answer: 3. Retinoblastoma

Explanation: Rosette are characteristically seen in retinoblastoma.